Acute poststreptococcal glomerulonephritis is characterised by which of the following hypersensitivity reactions?
1. Type II: Hypersensitivity
2. Type IV: Cell-Mediated Hypersensitivity
3. Tuberculin-Type Hypersensitivity
4. Type III: Immune Complex Hypersensitivity

Correct answer: 4. Type III: Immune Complex Hypersensitivity

Explanation: Acute poststreptococcal glomerulonephritis is a well-known immune complex disease. Its onset occurs several weeks after a group A alpha hemolytic streptococcal infection, particularly of the skin, and often occurs with infection due to nephritogenic types of streptococci. The complement level is typically low, suggesting an antigen-antibody reaction with consumption of complement. Lumpy deposits of immunoglobulin and complement component C3 are seen along glomerular basement membranes stained by immunofluorescence, suggesting antigen-antibody complexes. It is likely that streptococcal antigen-antibody complexes are filtered out by glomeruli, fix complement, and attract neutrophils. This series of events results in an inflammatory process that damages the kidney. Ref: Brooks G.F. (2013). Chapter 8. Immunology. In G.F. Brooks (Ed), Jawetz, Melnick, & Adelberg's Medical Microbiology, 26e.